Halitosisisprimarilybecauseof- Halitosisisprimarilybecauseof-
1. Hydrogen sulfide
2. Alkaline phosphates
3. Trypsin like enzymes Trypsin like enzymes
4. Collagenase enzymeCollagenase enzyme

Correct answer: 1. Hydrogen sulfide

Explanation: * Halitosis or unpleasant smell of breath arises mainly from volatile sulfide compounds like- 1) Hydrogen sulfide (H2S). 2) Methyl Mercapton (CH3SH). 3) Dimethyl Sulfide . * Specific character of breath odour is as follows - Rotten Eggs Volatile sulfide compounds Sweet Odour/Smell of dead mice Liver insufficiency Rotten apples Unbalanced insulin dependant diabetes mellitus Fish odour Kidneys insuffiency